Which of the following organism can penetrate the normal cornea –a) Gonococcusb)  Pseudomonasc) Diphtheriad) Streptococcuse) Staphylococcus epidermidis
1. a
2. bc
3. ad
4. ac

Correct answer: 4. ac

Explanation: The organisms which can penetrate intact corneal epithelium are Neisseria gonorrhoea, Haemophilus Aegyptus, Corynebacterium diphtheriae, Listeria species and Neisseria meningitides.